HLA-I is present on -
1. All nucleated cells
2. Only on cells of immune system
3. Only on B-cells
4. Only on T-cells

Correct answer: 1. All nucleated cells

Explanation: Ans. is 'a' i.e., All nucleated cells o HLA-I - On surface of all nucleated cells and platelets,o HLA -II - Only on cells of immune system.o HLA complex consists of three separate clusters of genes :HLA Complex Class IClass IIClass IIIo Comprising A, B and C locio 'D' region - DR, DQ, DPComplement region encodeso Responsible foro Responsible foro C2 & C4* Graft rejection# Graft versus host responseo Properdin factor B* Cell mediated cytolysis# Mixed leucocyte reactiono Heat shock proteino Found on the surface ofo Found only on cellso TNF -a and ball nucleated cells andof the immune system platelets